All of the following are premalignant lesions of oral cavity cancer except
1. Erythroplakia
2. Proliferative verrucous leukoplakia
3. Chronic hyperplastic candidiasis
4. Desquamative gingivitis

Correct answer: 4. Desquamative gingivitis

Explanation: Conditions associated with malignant transformationHigh-risk lesions Erythroplakia (homogenous or speckled) Proliferative verrucous leucoplakia Chronic hyperplastic candidiasisMedium-risk lesions Oral submucous fibrosis Syphilitic glossitisLow-risk/equivocal-risk lesions Oral lichen planus Discoid lupus erythematosus Discoid keratosis congenitaRef: Bailey and love pg: 761